A two-year child is classified as having pneumonia, if the respiratory rate is more than -
1. 30/min
2. 40/min
3. 50/min
4. 60/min

Correct answer: 2. 40/min

Explanation: Ans. is 'b' i.e., 40/min [